Antibody elevated in parasitic infection ?
1. IgA
2. IgE
3. IgG
4. IgM

Correct answer: 2. IgE

Explanation: Ans. is 'b' i.e., IgE